All true about - cocaine except-
1. It is amide local anesthetics
2. It can produce sympathetic stimulation
3. It is metabolized by liver
4. It blocks the presynaptic uptake of norepinephrine and dopamine

Correct answer: 1. It is amide local anesthetics

Explanation: It is ester local anesthetics Cocaine was the first local Anesthetic to be used clinically. It is only natural local anesthetic. Koller introduced this in the field of ophthalmology. It is the only local anesthetic with vasoconstrictor action. It is sympathomimetic and inhibits metabolism of catecholamine.